Spores of clostridium perfringens are located ?
1. In the middle of cells
2. At the poles of cells
3. Between middle and pole of cells
4. None of the above

Correct answer: 3. Between middle and pole of cells

Explanation: Ans. is 'c' i.e., Between middle and pole of cells Spores of clostridia may be :? Terminal : Located at poles. Central : Locate in the middle of the cells. Subterminal : Between middle of the cell and pole of the cells.